Cancer that arises from C-cells of thyroid
1. Follicular
2. anaplastic
3. Papillary
4. Medullary

Correct answer: 4. Medullary

Explanation: Ans. (d) medullaryRef: Bailey and Love 26th ed. ch. 5 / 741Medullary thyroid cancer grows from specialized thyroid cells called parafollicular C-cells which are specialized thyroid cells that secrete calcitonin and play a major role in medullary thyroid cancer.